Which of the following is not a usual feature of Ascariasis –
1. Abdominal pain
2. Urticaria
3. Anaemia
4. Loefflers syndrome

Correct answer: 3. Anaemia